All are ‘celsus’ signs of inflammation except:-
1. Cyanosis
2. Pain
3. Swelling
4. Redness

Correct answer: 1. Cyanosis

Explanation: o Cardinal signs of acute inflammation (celsus' signs): Rubor (redness), tumor (swelling), color (warmth),Dolor (pain).